A 50-year-old construction worker with a history of tobacco use since last 20 years presents with a growth on his lower lip. The biopsy confirms a carcinoma. What is the most likely cancer?
1. Basal cell carcinoma
2. Squamous cell carcinoma
3. Malignant melanoma
4. Verrucous carcinoma

Correct answer: 2. Squamous cell carcinoma

Explanation: - Squamous cell carcinoma of the lip is the most common malignant tumor of the lip. The majority are present on parts exposed to sunlight viz. ears, cheeks, lower lip, back of hands. Treatment includes: Wide Local excision for small or non-invasive SCC. MOH'S MICROGRAPHIC Surgery for large, aggressive tumors, tumors involving vital areas/ cosmetic areas, recurrent tumors. - Basal cell carcinomas present as slow growing pearly nodules with telangiectatic vessels on the surface and classical sign of Central depression with umbilication. It affects the upper lip more often than the lower lip. Treatment same as that of SCC. - Malignant melanoma is also present more frequently on the upper lip. Treatment: Surgical excision with Sentinel lymph node biopsy < 1mm thickness - 1 cm margin 1-4 mm thickness - 2 cm margin > 4mm thickness - 2-3 cm margin Chemotherapy - IFN-a2b is useful Malignant Melanoma is a radio-resistant tumor